Asbestosis is associated with all except-
1. Pleural fibroma
2. Bronchogenic cancer
3. Gastric cancer
4. Mesothelioma

Correct answer: 1. Pleural fibroma